In newborn, cold stress implies
1. 35 - 35.4 oC
2. 36 - 36.4 oC
3. 34 - 34.6 oC
4. 37 - 37.6 oC

Correct answer: 2. 36 - 36.4 oC

Explanation: Classification of Neonatal hypothermia
Cold stress 36 - 36.4o C
Moderate hypothermia 32 - 35.9o C
Severe hypothermia < 32o C